In the sensorineural hearing loss, weber's test is lateralized to -
1. Normal ear
2. Defective ear
3. Not lateralized
4. May alternate

Correct answer: 1. Normal ear

Explanation: Ans-A Normal ear TestNormalConductive deafnessSN deafnessRinneAC > BC (Rinne positive)BC > AC (Rinne negative)AC > BC (Rinne negative)WeberNot lateralizedLateralized to poorer earLateralized to better earABCSame as examiner'sSame as examiner'sReducedSchwabachEqualLengthenedShortened